A 30 year old lady presents with features of malabsorption and iron deficiency anemia. Duodenal biopsy shows complete villous atrophy. Which of the following antibody is likely to be present.
1. Antiendomysial antibodies
2. Anti-goblet cell antibodies
3. Anti-Saccharomyces cerevisae antibodies
4. Antineutrophil cytoplasmic antibodies

Correct answer: 1. Antiendomysial antibodies

Explanation: IgA anti-endomysial antibodies are found in 90% coeliac patients. They are a very specific & sensitive marker for coeliac disease and dermatitis herpetiformis. The anti-endomysial antibody test has been suggested to be 98% sensitive and 98% specific for clinical or subclinical coeliac disease Ref Davidson edition23rd pg 805